Major hormone secreted by zona reticularis of adrenal cortex -
1. Glucocorticoids
2. Mineralcorticoids
3. Aldosterone
4. Androgens

Correct answer: 4. Androgens

Explanation: Ans. is 'd' i.e., Androgens o The adrenal cortex is divided into three zones (outer to inner) : Zona glomerulosa, zona fasciculata and zona reticularis.o All three cortical zones secrete corticosterone, but the active enzymatic mechanism for aldosterone biosynthesis is limited to the zona glomerulosa whereas the enzymatic machanisms for forming cortisol and sex hormones are found in the two inner zones. Furthermore, subspecialization occurs within the inner two zones, the zona fasciculata, secreting mostly glucocorticoids and the zona reticularis secreting mainly sex hormones.